Predisposing factors for endometrial carcinoma is :
1. Hypertension
2. Late menopause
3. Nulliparity and Diabetes mellitus both
4. All

Correct answer: 4. All

Explanation: All